Structure passing through both greater and lesser sciatic foramen is
1. Pudendal nerve
2. Sciatic nerve
3. Superior gluteal nerve
4. Inferior gluteal nerve

Correct answer: 1. Pudendal nerve

Explanation: GREATER SCIATIC FORAMEN:- Gateway of gluteal region.1. pyriformis: key muscle of the region. 2. structures passing above pyriformis.A. Superior gluteal nerve B. Superior gluteal vessels. 3. Structures passing below the pyriformis:-Inferior gluteal nerve and vessels.Sciatic nerve Posterior cutaneous nerve of thighPudendal nerve Nerve to quadratus femorisNerve to obturator internus .Internal pudendal vessels. LESSER SCIATIC FORAMEN:-Gateway of the perineal region.1. Tendon of obturator internus2. Pudendal nerve3. Internal pudendal vessels4. Nerve to obturator internus. {Reference: BDC 6E pg no.74}